All of the following anatomical changes will predispose to primary-angle-closure glaucoma except:
1. Small cornea
2. Flat cornea
3. Anterior chamber shallow
4. Short axial length of eyeball

Correct answer: 2. Flat cornea

Explanation: Ans. Flat cornea